The triad of hypertension, bradycardia and irregular respiration is seen in:
1. Cushing's reflex
2. Bezold-Zarisch reflex
3. Herring-Bruer reflex
4. Bainbridge's reflex

Correct answer: 1. Cushing's reflex

Explanation: Ans. a. Cushing's reflex